The normal range of AFI is
1. 2 to 8cm
2. 5 to 8cm
3. 2 to 24cm
4. 5 to 24cm

Correct answer: 4. 5 to 24cm

Explanation: AFI : It is the sum of the single deepest pocket from four quadrants of the uterus. Normal range: 5 to 24cm(Ref: William's Obstetrics; 25th edition)